Gerlach tonsil in Waldayer's ring is?
1. Tubal tonsil
2. Palatine tonsil
3. Pharyngeal tonsil
4. Lingual tonsil

Correct answer: 1. Tubal tonsil

Explanation: Tubal tonsils also called as Gerlach's tonsils are located in nasopharynx on the lateral wall behind the eustachian tube opening. (Ref: Scott brown textbook of otorhinolaryngology and head and neck surgery Volume 1, Pg No. 285)